Which of the following is not a feature of megaloblastic anaemia:
1. Thrombocytopenia
2. Megakaryocytes
3. Reticulocytosis
4. Howell-jolley bodies

Correct answer: 3. Reticulocytosis

Explanation: Ans. C: Reticulocytosis The blood film suggestive of vitamin B12 deficiency includes: Decreased red blood cell (RBC) count and hemoglobin levels. Increased mean corpuscular volume (MCV, >95 fl) and mean corpuscular hemoglobin (MCH) Normal mean corpuscular hemoglobin concentration (MCHC, 32-36 g/dL) The reticulocyte count is decreased due to destruction of fragile and abnormal megaloblastic erythroid precursor. The platelet count may be reduced. Neutrophil granulocytes may show multisegmented nuclei ("senile neutrophil"). Anisocytosis (increased variation in RBC size) and poikilocytosis (abnormally shaped RBCs). Macrocytes (larger than normal RBCs) are present. Ovalocytes (oval-shaped RBCs) are present. Howell-Jolly bodies (chromosomal remnant) also present